The following about retinoblastoma is true except:
1. Autosomal dominant
2. Treatment is enucleation
3. Radiotherapy is also given
4. Evisceration is the treatment

Correct answer: 4. Evisceration is the treatment

Explanation: Ans., Evisceration is the treatment